"Mallory hyaline" is characteristically seen with?
1. Yellow fever
2. Hepatitis B infection
3. Alcoholic hepatitis
4. Primary sclerosing cholangitis

Correct answer: 3. Alcoholic hepatitis

Explanation: Ans. C. Alcoholic hepatitis. (Ref. Pathology by Harsh Mohan 5th/pg. 642)Histological features of alcoholic hepatitis are:A. Hepatocellular necrosisB. Mallory bodiesC. Inflammatory areasD. Fibrosis (creeping collagenosis)"Mallory bodies or alcoholic hyaline:# are perinuclear eosinophilic intracytoplasmic inclusions in within swollen and ballooned hepatocytes.# represent aggregates of cytoskeletal intermediate filaments (prekeratin) and best visulaized with conective tissue stains like Masson's trichrome and chromophobe aniline blue, or by immunoperoxidase method.# are highly suggestive of but not specific for alcoholic hepatitis, since mallory bodies are also found in:- Primary biliary cirrhosis- Hepatocellular carcinoma.- Cholestatic syndromes.- Wilson's disease- Intestinal bypass surgery- Focal nodular hyperplesia- Indian childhood cirrhosis.